A 68-year-old female is examined by the senior resident in emergency medicine after her fall on a wet bathroom floor in the shopping center. Physical examination reveals a posterior displacement of the left distal wrist and hand. Radiographic examination reveals an oblique fracture of the radius. Which of the following is the most likely fracture involved in this case?
1. Colles' fracture
2. Scaphoid fracture
3. Bennett's fracture
4. Volkmann's ischemic contracture

Correct answer: 1. Colles' fracture

Explanation: Colles' fracture is a fracture of the distal end of the radius. The proximal portion of the radius is displaced anteriorly, with the distal bone fragment projecting posteriorly. The displacement of the radius from the wrist often gives the appearance of a dinner fork, thus a Colles' fracture is often referred to as a "dinner fork" deformity. A scaphoid fracture results from a fracture of the scaphoid bone and would thus not cause displacement of the radius. This fracture usually occurs at the narrow aspect ("waist") of the scaphoid bone. Bennett's and boxer's fractures both result from fractures of the metacarpals (first and fifth, respectively). Volkmann's ischemic contracture is a muscular deformity that can follow a supracondylar fracture of the humerus, with arterial laceration into the flexor compartment of the forearm. Ischemia and muscle contracture, with extreme pain, accompany this fracture.